Ventricular aneurysm has one of the following characteristic features -
1. Persistent ST segment elevation
2. Persistent ST segment depression
3. Left bundle branch block
4. Right bundle branch block

Correct answer: 1. Persistent ST segment elevation